Ejection click is heard in:
1. Early systole
2. Late systole
3. Early diastole
4. Late diastole

Correct answer: 1. Early systole

Explanation: The ejection sound is a sharp, high-pitched event occurring in early systole and closely following the first heart sound. Ejection sounds occur in the presence of semilunar valve stenosis and in conditions associated with dilation of the aorta or pulmonary artery. Ref: Harrison's principle of internal medicine 17th edition, chapter 220.